"Lucid Interval" is associated with
1. Extradural hematoma
2. Acute subdural hematoma
3. Chronic subdural hematoma
4. Subarachnoid hemorrhage

Correct answer: 1. Extradural hematoma

Explanation: (A) Extradural hematoma # In about 50% of the cases of head injury, there is an initial recovery from the symptoms of concussion & this is followed, after a variable period as mentioned above, by unconsciousness, the sequence being as follows: unconsciousness due to concussion # consciousness due to recovery # unconsciousness due to raised intracranial tension.> The state of consciousness between the two states of unconsciousness in known as the lucid interval.> In these cases, the apparent recovery & the interval between the infliction of injury and the onset of symptoms frequently leads to the defence that the blow was not the cause of death.> Alternatively, this period may cover some further volitional activity which may mislead lay persons as to the actual cause of haemorrhage.> In emergency medicine, a lucid interval is a temporary improvement in a patient's condition after a traumatic brain injury, after which the condition deteriorates.> A lucid interval is especially indicative of an epidural hematoma.> An estimated 20 to 50% of patients with epidural hematoma experience such a lucid interval.